A midline protrusion in maxillary region is mostly due to
1. Torus palatinus
2. Torus maxillaris
3. Torus mandibularis
4. Torus tubarius

Correct answer: 1. Torus palatinus

Explanation: Torus means an elevation. Different types according to location: Torus palatinus: - Midline elevation of exaggerated bony growth at intermaxillary suture region specifically in the midline Torus maxillaris: - Exaggerated bony growth at either inner side of alveolar process or at outer side of alveolar process (either side of teeth) Torus mandibularis: - Exaggerated bony growth - near the premolar & above the mylohyoid line. Torus tubaris: - Mucosal elevation in nasopharynx at opening of the eustachian tube.